Ranson's aitaria for prognosis in acute pancreatitis include all except -
1. WBC > 16,000 cells/cumin
2. Age over 55 years
3. AST > 250 U/100 ml
4. S.amylase > 350 I.U.

Correct answer: 4. S.amylase > 350 I.U.